Enzymes act by reducing the
1. Activation energy
2. Binding energy
3. Heat energy
4. Covalent energy

Correct answer: 1. Activation energy

Explanation: "All enzymes accelerate reaction rates by lowering activation energy for the formation of transition states."Activation energy is the minimum energy required to start a chemical reaction.Harper 30th edition pg: 77